Waxy flexibility and stereotype verbal and behavioural signs are seen in
1. Paranoid schizophrenia
2. Hebephrenic schizophrenia
3. Catatonic schizophrenia
4. Simple schizophrenia

Correct answer: 3. Catatonic schizophrenia

Explanation: Ans. c (Catatonic schizophrenia). (Ref. Psychiatry by Niraj Ahuja, 5th ed., 60, 254)Schizophrenia: Symptoms must be present at least 6 monthsSchizophreniform Disorder: > 1 month but < 6 months.FEATURES OF CATATONIC SCHIZOPHRENIA# Bizarre posturing# Rigidity# Echolalia, echopraxia# Mutism# Waxy flexibility# Ambitendancy (no goal directed actions)# Stupor# Negativism (motiveless resistance to all commands and doing opposite)# Other signs (mannerisms, stereotype verbal and behavioural automatic obedience, verbigeration)TYPES OF SCHIZOPHRENIA ***Schizophrenia Paranoid Type# MC Type of Schizophrenia# Older patients (Onset is in their late twenties or thirties)Best prognosis# Presenting Symptoms: Preoccupation with delusions and/or hallucinations, usually involving grandeur or persecution.Schizophrenia Disorganized Type# Presenting Symptoms: Disorganized speech and behavior. Flat or inappropriate affect. Marked regression to primitive disinhibited behavior (Bizarre Behavior). Severe thought disorder. Poor contact with reality# Risk Factors: These patients tend to be younger than 25Worst prognosis.Schizophrenia Catatonic Type# Presenting Symptoms: Psychomotor Disturbances, ranging from severe retardation to excitation. Extreme negativism. Peculiarities of voluntary movements. Mutism is very common.# Complications: Medical care may be necessary because of exhaustion, malnutrition, self- inflicted injury, or hyperpyrexia.Schizophrenia Residual Type# Presenting Symptoms: Absence of positive symptoms (delusions, hallucinations, disorganized speech/behavior & catatonic behavior).# Patients tend to have negative symptoms (Social Withdrawal, Flat Affect, Occupational Dysfunction).Schizophrenia Undifferentiated Type# Presenting Symptoms: Meet criteria for schizophrenia.# Do not meet criteria for other schizophrenia types.